Gallows traction is applied for fracture of which bone
1. Tibia
2. Radius
3. Humerus
4. Femur

Correct answer: 4. Femur

Explanation: * Gallow's traction is used for the treatment of fracture of shaft of femur in children less than 2 years old and those weighing less than 12kg.* The treatment for fracture of shaft of femur is based on age group. - <5 years old - Spica - 5-10 years old - Titanium elastic nail system - >10 years - Intramedullary nailing - this is the method of choice for most femoral shaft fractures.